At the end of 5th week of gestation, how many numbers of somites can be seen?
1. 24
2. 26
3. 38
4. 44

Correct answer: 4. 44

Explanation: The first pair of somites arises in the occipital region of the embryo at approximately the 20th day of development, from here new somites appear in craniocaudal sequence at a rate of approximately three pairs per day until at the end of the fifth week 42 to 44 pairs are present Ref: Gray's 39e/p-210-220